A patient presents with fasting blood sugar of 167mg/dl, skin pigmentation and hypogonadism. His liver enzymes show SGOT as 670 and SGPT AS 690. Which of the following is the most likely diagnosis?
1. Alpha-1 Antitrypsin Deficiency
2. Wilson's Disease
3. Hemochromatosis
4. Glycogen Storage Disease

Correct answer: 3. Hemochromatosis

Explanation: Answer is C (Hemochromatosis) The association of Hepatic dysfunction (raised liver enzymes), Diabetes (Raised fasting Sugar), Skin pigmentation and Hypogonadism suggests a diagnosis of Hemochromatosis.